Brodie's abscess is the terminology for
1. Subungual infection
2. chronic osteomyelitis
3. web space infection
4. infected hematoma

Correct answer: 2. chronic osteomyelitis

Explanation: It is a long standing localized pyogenic abscess in the bone(long standing because of strong defence mechanism of the body.) It usually involves long bones. Brodie's abscess - A circumscribed, round/oval cavity containing pus and pieces of dead bone (sequestra) surrounded sclerosis - Most commonly seen in tibial / femoral metaphysis *may occur in epiphysis / cuboidal bone (eg: calcaneum) - Metaphyseal lesion cause no / little periosteal reaction - Diaphyseal lesion may be associated with periosteal new bone formation and marked cortical thickening . ref : maheswari9th ed